Which of the following bacteria is transmitted by Housefly?
1. Leptospira
2. Listeria
3. V. cholerae
4. Yersinia

Correct answer: 3. V. cholerae

Explanation: Ans. is 'c' i.e.,V. cholerae Cholera can be trasmitted by Housefly